Which of the following is not a contraindication to DPT vaccination?
1. History of anaphylaxis to previous dose
2. Progressive neurologic illness
3. Fever
4. Encephalopathy within 7 days of previous dose

Correct answer: 3. Fever

Explanation: DPT Adverse effects - Persistent crying (mc) - Hypotonic Hypo-responsive episodes - Fever - Seizures - Encephalopathy C/l in - H/o anaphylaxis to previous dose - Any progressive neurological illness (static illness like CP not a c/l) - Encephalopathy within 7 days of vaccination